Insulin is essential for entry of glucose in which of the following tissue:
1. Most neurons in cerebral cortex
2. Renal tubular cells
3. Skeletal muscles
4. Mucosa of small intestine

Correct answer: 3. Skeletal muscles

Explanation: Ans. (c) Skeletal musclesRef: Harper's Biochemistry, 30 ed. pg. 191-192th* Insulin increases the number and activity of GLUT 4 receptor. Thereby facilitating the entry of glucose in tissues having GLUT4 receptor.* Tissues with abundant GLUT4 receptor are: Skeletal muscles, Heart and Adipose tissue* Thus among the given choices, skeletal muscle is the one which required for entry of glucose.GLUT receptors, their location and functionReceptorLocation on tissueFunctionGLUT 1Brain, kidney, colon, placenta, RBC, retinaGlucose uptakeGLUT 2Liver, pancreatic beta cell, small intestine, KidneyRapid uptake or release of glucoseGLUT 3Brain, kidney and placentaGlucose uptakeGLUT 4Heart, skeletal muscles, adipose tissueInsulin-stimulated glucose uptakeGLUT 5Small intestineAbsorption of glucoseGLUT 6Spleen, leukocyte-GLUT 7Liver, endoplasmic reticulumGlucose transporter in endoplasmic reticulum